D.I.C. is seen in-
1. Acute promyelocytic leukemia
2. Acute myelomonocytic leukemia
3. CMC
4. Autoimmune hemolytic anemia

Correct answer: 1. Acute promyelocytic leukemia

Explanation: Answwr is option 1 Abstract Malignancy is associated with a "hypercoagulable" state and a high risk for thrombohemorrhagic complications. Clinical complications may range from localized thrombosis to bleeding of varying degrees of severity because of disseminated intravascular coagulation (DIC). Life-threatening bleeding is frequent in acute leukemias, particularly in acute promyelocytic leukemia (APL). Laboratory assessments show profound hemostatic imbalance in this condition, with activation of coagulation, fibrinolysis, and nonspecific proteolysis systems. Ref Robbins 9/e pg 455